Autonomous zone of ulnar nerve
1. Tip of middle finger
2. Tip of little finger
3. Dorsum of 1st web space in hand
4. Base of middle finger

Correct answer: 2. Tip of little finger

Explanation: Autonomous zones of nerve 
Ulnar Nerve - Tip of little finger 
Median Nerve - Tip of index, middle finger
Radial Nerve - 1st web space on dorsum of hand 
Deep Peroneal Nerve - 1st web space on dorsum of foot